Prevention of emergence of risk factors is:
1. Primordial prevention
2. Primary prevention
3. Secondary prevention
4. Tertiary prevention

Correct answer: 1. Primordial prevention

Explanation: Ans. A i.e. Primordial prevention